Which is the most common agent employed in external bleaching?
1. Sodium perborate
2. Hydrochloric acid
3. Carbamide peroxide
4. Sodium hypochlorite

Correct answer: 3. Carbamide peroxide

Explanation: The most common bleaching agent for at-home bleaching is 10% to 22% carbamide peroxide with an effective yield of 4% to 7.5% hydrogen peroxide.
Ref: Cohen pathways of Pulp 11th ed page no  e107